Blue sclera is feature of -
1. Osteogenesis imperfecta
2. Osteopetrosis
3. Cleidocranial dysostosis
4. Achendroplasia

Correct answer: 1. Osteogenesis imperfecta

Explanation: Osteogenesis imperfecta also known as Fragilitas ossium/ Vrolick's disease characterised by, Fragility of bones, deafness, Blue sclera, laxity of joints and tendency to improve with age. It results from defective collagen synthesis and thus affects other collagen containing soft tissues such as the skin, sclera, teeth, ligaments etc. Reference - TB of orthopaedics- Ebnezar-3rd edn-pg no 464